Cutaneous larva migrans caused by which organism?
1. Anisakiasis simplex
2. Toxocara species
3. Ancylostoma braziliense
4. Necator americanus

Correct answer: 3. Ancylostoma braziliense

Explanation: Ans. c. Ancylostoma brazilienseRef: Jawetzs Medical Microbiology 27th Ed; Page No-727 &734 & Medical Microbiology 8th Ed by PATRICK R. MURRAY; Page No- 875Ancylostoma braziliense, a species of hookworm, is naturally parasitic in the intestines of dogs and cats and accidentally infects humans.It produces a disease properly called cutaneous larva migrans but also called ground itch and creeping eruption.The filariform larvae of this hookworm penetrate intact skin but can develop no further in humans.The larvae remain trapped in the skin of the wrong host for weeks or months, wandering through subcutaneous tissue and creating serpentine tunnels.SpeciesAncylostoma braziliense, Ancylostoma caninum (dog and cat hookworms)Ancylostoma duodenale, Necator americanus (New world hookworm)Toxocara canis or cati (Dog and cat round-worms)AnisakissimplexDiseaseCreeping eruption, CLMAnemia, CLMVLM, OLM, NLMAnisakiasis (VLM)Site of InfectionSubcutaneous migrating larvaeSmall intestine; larvae through skin, lungsLarvae migrating in viscera, liver, lung, eye, brainGastrointestinal-larvae in stomach or intestinal wall, rarely penetrate visceraMechanism of InfectionContact with soil contaminated by dog or cat fecesLarvae in soil penetrate skinIngesting eggs in soil contaminated by dog or cat fecesEating larvae in pickled, raw, or undercooked fish dishesDiagnosisPhysical exam and historyStool exam for O&P (eggs)Serology; eosinophiliaEndoscopy, radiology,TreatmentAlbendazole,IvermectinAlbendazole,mebendazoleAlbendazole,mebendazoleSurgical or endoscopic removal of wormGeographicTropics and subtropicsWorldwide, tropicsWorldwide, areas where dogs, cats defecateWorldwide where people eat raw or undercooked fishCLM=cutaneous larva migrans; NLM=neural larva migrans; O&P, ova and parasites; OLM=ocular larva migrans; OLM=visceral larva migrans